The onus of proof in civil negligence case against a doctor lies with:
1. Doctor
2. Patient
3. Police not below sub inspector
4. Judicial magistrate

Correct answer: 2. Patient

Explanation: Negligence is a to i.e. civil wrong ONUS OF PROOF:Liability to prove the allegations. In civil negligence, apatient brings charges of negligence against doctor for monetary compensation for the damages suffered by him.